Which is not true of cryptococcus neoformans -
1. Grows at 37°C
2. Grows on Sabouraud agar
3. Polysaccharide capsule
4. Urease negative

Correct answer: 4. Urease negative